Dermatophytes affect -
1. Keratin
2. Dermis of skin
3. Stratum basal
4. Stratum spongiosum

Correct answer: 1. Keratin

Explanation: Ans. is 'a' i.e., Keratin o Dermatophytes are keratinophilic fungi, living only on the superficial dead keratin. That is why they infect skin, hair, and nail. In skin, they infect most superficial layer of the epidermis i.e. stratum corneum. They do not penetrate living tissues. Dermatophytes cause a variety of clinical conditions, collectively known as dermatophytosis, tinea or ringworm. Dermatophytes have been classified into 3 genera:- Trichophyton, Microsporum, epidermophyton:Trichophyton affects;- skin, hair, nailsMicrosporum affects;- skin, hair (nails are not affected)Epidermophyton affects:- skin, nails (hair are not affected)o Deep fungal infections (eg:- myeloma, chromoblastomycosis, phaeohyphomycosis, sporotrichosis, lobomycosis, rhinosporidiosis) involve subcutaneous tissue,o Dermatophytosis is itchy and scaly.